All statements are true except,
1. EAEC is associated with persistent diarrhea
2. EHEC can cause HUS
3. EIEC produce disease similar to salmonellosis
4. ETEC is a common cause of traveler's diarrhea

Correct answer: 3. EIEC produce disease similar to salmonellosis

Explanation: EIEC produce disease similar to shigellosis, i.e. invasion of mucosa. OPTION 1 Persistent diarrhea especially in developing countries is most often caused by EAEC. OPTION 2 Enterohemorrhagic E. coli (EHEC): Serotypes associated with EHEC are: - O157: H7 (most common serotype). - Manifestations: HC (hemorrhagic colitis) and Hemorrhagic uremic syndrome (HUS). OPTION 3 EIEC produce disease similar to shigellosis, i.e. invasion of mucosa. - EIEC show atypical biochemistry (biochemically similar to Shigella spp. i.e, NLF, anaerogenic and non-motile) -Atypical E. coli. OPTION 4 ETEC is the most common cause of traveler's diarrhea.